Which of the following is the first bone to ossify in human body
1. Mandible
2. Maxilla
3. Clavicle
4. Humerus

Correct answer: 3. Clavicle

Explanation: The mandible is the second bone, next to the clavicle, to ossify in the body.